Potter's syndrome is associated with –
1. Renal anomalies
2. Severe oligohydramnios
3. Flattened nose
4. All the above

Correct answer: 4. All the above

Explanation: Potter syndrome 

Potter syndrome is characterized by -


Bilateral renal agenesis
Pulmonary hypoplasia
Potter facies → widely separated eyes with epicanthic folds, low set ears, broad compressed flat nose, receding chin.


This condition is incompatible with life, death occurs shortly after birth from pulmonary hypoplasia.
Maternal USG demonstrates -


Oligohydramnios                  
Nonvisulization of bladder                        
Absent kidney